All oncogenic viruses containing RNA belongs to-
1. Picornaviridae
2. Herpesviridae
3. Retroviridae
4. All of the above

Correct answer: 3. Retroviridae